A pt. presents with hematuria of several days and dysmorphic RBC casts in urine. The site of origin is ?
1. Kidney
2. Ureter
3. Bladder
4. Urethra

Correct answer: 1. Kidney

Explanation: Ans. is 'a' ie kidney "Isolated microscopic haematuria can be a manifestation of glomerular disease. The RBCs of glomerular origin are often dysmorphic." "Haematuria with dysmorphic RBCs, RBC casts and protein excretion > 500 mg/day is virtually diagnostic of glomerulonephritis." - Harrison